Which of the following conditions is associated with decreased E-cadherin?
1. Invasive lobular carcinoma
2. Fibroid
3. Ductal carcinoma
4. Intestinal carcinoma

Correct answer: 1. Invasive lobular carcinoma

Explanation: Ans. is 'a' i.e., Invasive lobular carcinoma * Cadherin-1 (E-cadherin) is a protein that is encoded by the CDH1 gene (tumor suppressor gene).* Loss of E-cadherin function or expression has been implicated in cancer progression and metastasis. E-cadherin downregulation decreases the strength of cellular adhesion within a tissue, resulting in an increase in cellular motility. This in turn may allow cancer cells to cross the basement membrane and invade surrounding tissues.* E-cadherin is also involved in causation of breast cancer. When compared with invasive ductal carcinoma, E-cadherin expression is markedly reduced or absent in the great majority of invasive lobular carcinomas.* Inactivation of CDH1 in 56% of lobular breast carcinomas.* Complete loss of E-cadherin protein expression in 84% of lobular breast carcinomas.Also know* Germline mutations in CDH1 are associated with familial gastric cancers, which are usually of diffuse type.